Which of the following is secondary level of prevention:
1. Prophylactic drug administaion
2. Admitting disabled child in special schools
3. Vaccination
4. Cervical pap smear checking

Correct answer: 4. Cervical pap smear checking

Explanation: Ans. D: Cervical pap smear checking The levels of prevention: Primordial prevention is prevention of the emergence/development of the risk factors in countries/population in which they have not yet appeared. e.g. obesity and hypertension prevention Primary prevention methods are used before the person gets the disease. Primary prevention aims to prevent the disease from occurring. So primary prevention reduces both the incidence and prevalence of a disease. Encouraging people to protect themselves from the sun's ultraviolet rays is an example of primary prevention of skin cancer. Secondary prevention is used after the disease has occurred, but before the person notices that anything is wrong. A doctor checking for suspicious skin growths is an example of secondary prevention of skin cancer. The goal of secondary prevention is to find and treat disease early. In many cases, the disease can be cured. Secondary prevention can be defined as action which halts the progress of a disease at its incipient stage and prevents complications. The specific interventions are early diagnosis (e.g. screening tests, case finding programmes) and adequate treatment. Tertiary prevention targets the person who already has symptoms of the disease The goals of tertiary prevention are: Prevent damage and pain from the disease - Slow down the disease - Prevent the disease from causing other problems (These are called "complications.") - Give better care to people with the disease - Make people with the disease healthy again and able to do what they used to do Developing better treatments for melanoma is an example of tertiary prevention. Examples include better surgeries, new medicines, etc.